A patient present with lower gastrointestinal bleed. Sigmoidoscopy shows ulcers in the sigmoid. Biopsy from this area shows flask-shaped ulcers. Which of the following is the most appropriate treatment :
1. Intravenous ceftriaxone
2. Intravenous mentronidazole
3. Intravenous steroids and sulphasalazine
4. Hydrocoscone enemas

Correct answer: 2. Intravenous mentronidazole

Explanation: Answer is B (Intravenous Metronidazole) Presence of the classic .flask shaped ulcers' in a patient presenting with lower gastrointestinal bleeding suggests a diagnosis of 'Intestinal amebic colitits'. 'Patients with amebic colitis should be treated with intravenous or oral Metronidaz,ole.'-